Causative agent of Trench fever
1. Coxiella burnetii
2. Bartonella Quintana
3. R. tsusugamushi
4. R. prowazekii

Correct answer: 2. Bartonella Quintana

Explanation: Q fever - Coxiella burnetii.
Trench fever - Bartonella Quintana.